O2 release to tissue is affected by all except
1. 2,3-DPG
2. pH
3. Bicarbonate
4. Globin chain

Correct answer: 3. Bicarbonate

Explanation: Ans: c (Bicarbonate) Ref: Ganong 22nd ed/p.667O2 release to tissue depends on oxygen dissociation curve.Shift of oxygen dissociation curve depends upon 2,3 - DPG pH and globin chain.